Relative risk 2 means ?
1. Risk of developing disease is 2 times higher among nonexposed
2. 30% of disease among exposed is due to risk facter
3. 200% increase in risk of developing disease among exposed
4. Incidence rate is 2 times higher in exposed group than non-exposed

Correct answer: 4. Incidence rate is 2 times higher in exposed group than non-exposed

Explanation: Ans. is 'd' i.e., Incidence rate is 2 times higher in exposed group than non-exposed It is very important to know the difference between relative risk and attributable risk.